A patient with suspected subarachnoid haemorrhage presents with blood isolated in the fourth ventricle on a CT scan. Aneurysmal rupture is likely to have resulted from:
1. Posterior Inferior Cerebellar Artery Aneurysm
2. Anterior Communicating Artery Aneurysm
3. Posterior Communicating Artery Aneurysm
4. Basilar Artery Tip Aneurysm

Correct answer: 1. Posterior Inferior Cerebellar Artery Aneurysm

Explanation: Answer is A (Posterior Inferior Cerebellar Artery Anurysm): 103. References with text Blood isolated to the fourth ventricle suggets a ruptued Posterior Inferior Cerebellar Artery (PICA) Aneurysm. The diagnosis is usually obvious on CT. Blood isolated to the fourth ventricle suggests a ruptured posterior inferior cerebellar artery anurysm' -- Plum & Posner's Diagnosis of Stupor & Coma (Oxford) 4th/145 `Subarachnoid Haemorrhage involving blood only from the fourth ventricle is almost diagnostic of Vertebral artery -PICA aneurysm' -- Surgery of the Craniovertebral Junction (Thieme) 1998/323 `PICA aneurysm should be suspected when there is little blood in the cisterns supratentorially compared with the cisterna magna, around the brainstem and in the fourth ventricle' - Atlas of Neurosurgical Technique (Thieme) 2006/182 `Ruptured PICA aneurysm almost always coexist with intraventricular haemorrhage in the fourth ventricle and Hydrocephalus' -- Intracranial Malformation & Aneurysms (Springer) 2008/189 Posterior Inferior Cerebellar Artery Aneurysm Represents 1% to 3% of all intracranial aneurysm When a posterior inferior cerebellar artery (PICA) aneurysm ruptures, the patient may present with hemorrhage isolated to the posterior fossa and/or fourth ventricle; hemorrhage may extend to the cerebellum. Both PICAs need to be studied in all angiograms performed to rule out an intracranial aneurysm; this can be done by refluxing contrast into the contralateral vertebral artery or by injecting each vertebral artery individually. Conventional angiography fails to demonstrate an intracranial aneurysm in 5% of all patients with spontaneous subarachnoid hemorrhage. Most frequent presentation of PICA origin aneurysms Subarachnoid haemorrhage (SAH), and Intraventricular haemorrhage (4th ventricle), with Acute Hydrocephalus. (The cerebellum may be involved) PICA aneurysms lie in the close proximity to the fourth ventricle. Blood from the aneurysms enters the ventricular system (fourth ventricle) through either the foramen of Luschka or Magendie. Aneurysms and Vascular Malformations: Condition Comments Anterior communicating Approximately 30% to 35% of intracranial aneurysms. artery aneurysm Rupture results in hemorrhage in the gyrirecti, anterior interhemispheric fissure, septum pellucidum, and frontal horns of the lateral ventricles. Posterior communicating Approximately 30% to 35% of intracranial aneurysms. artery aneurysm Rupture tends to result in diffuse subarachnoid hemorrhage, but bleeding may be concentrated in the basilar cisterns. Middle cerebral artery Approximately 20% of intracranial aneurysms. bifurcation aneurysm Rupture results in hemorrhage in the sylvian fissure, frontal opercula and basilar cisterns. Basilar artery tip aneurysm Approximately 5% of intracranial aneurysms. Rupture results in hemorrhage in the basilar cisterns and posterior position of the third ventricle. Posterior inferior cerebellar Approximately 1% to 3% of intracranial aneurysms. artery aneurysm Rupture may produce hemorrhage isolated to the posterior fossa or fourth ventricle Post traumatic aneurysm Less than 1% of intracranial aneurysm. Common sites include the intracavernous portion of the internal carotid artery; the distal part of the anterior cerebral artery; and distal branches of the middle cerebral artery. CT can predict aneurysm location based on the pattern of blood in -78% of cases (but mostly for MCA and A-comm aneurysms) ('Clinical Imaging: An Atlas of Differential Diagnosis' by Eisenberg (Lippincott Williams & Wilkins) 5th/1376) * Blood predominantly in anterior interhemispheric fissure (+- blood in lateral ventricles) or within the gyrus rectus suggests a-comm aneurysm * Blood predominantly in I sylvian fissure is compatible with p-comm or MCA aneurysm on that side * Blood predominantly in the prepontine or penduncular cistern suggets a basilar apex or SCA aneurysm. * Blood predominantly within ventricles: 1) Blood primarily in 4th and 3rd ventricle: suggests lower posterior fossa source, such as PICA aneurysm or VA dissection 2) Blood primarily in the 3rd ventricle suggets a basilar apex aneurysm